Doughy skin and woody induration of tongue is seen in
1. Hyponatremia
2. Hypernatremia
3. Hypokalemia
4. Hyperkalemia

Correct answer: 2. Hypernatremia

Explanation: Hypernatremia is defined as a serum sodium concentration of greater The skin can feel doughy or velvety due to intracellular water loss and Woody indurations on tongue are seen Ref Davidson 23rd edition pg 345